An eight year old boy presents with multiple umbilicated papules on trunk. Diagnosis is
1. Molluscum contagiosum
2. Chicken pox
3. Herpes zostr
4. Dermatophytosis

Correct answer: 1. Molluscum contagiosum

Explanation: Molluscum contagiosum is a viral infection that causes a mild skin rash. The rash looks like one or more small growths or wart-like bumps (called mollusca) that are usually pink, white, or skin-colored. The bumps are usually smooth and shiny or pearly-looking, and may have an indented center Ref Harrison20th edition pg 1334